True labour pains is represented by:
1. Pain and discomfort in the abdomen
2. Show
3. Relieved by enema ans administration of sedative
4. Dull in nature

Correct answer: 2. Show

Explanation: Ans. B: Show Features of true pain: Painful uterine contractions at regular intervals Contraction with increasing intensity and duration Expulsion of cervical mucus plug, mixed with blood (show) Progressive effacement and dilatation of cervix Formation of bag of waters